The salivary gland neoplasm which characteristically spreads perineurally along the caranial nerves is
1. Pleomorphic adenoma
2. Acinic cell carcinoma
3. Mucoepidermoid carcinoma
4. Adenoid cystic carcinoma

Correct answer: 4. Adenoid cystic carcinoma

Explanation: .ADENOID CYSTIC CARCINOMA (10% of salivary tumours) * It is common in submandibular and minor salivary glands. * It consists of myoepithelial cells and duct epithelial cells with cribriform or lace like appearance. * It involves facial nerve very early, spreads through the perineural sheath and infiltrates into the perineural tissues over a long distance, more proximally. * It also invades periosteum and bone medulla early and spreads extensively. * Prognosis is poor. * Radical parotidectomy and radical radiotherapy is the treatment of choice. ref:SRB's manual of surgery,ed 3,pg no 369